The slightly movable articulations in which the contiguous bony surfaces are either connected by broad flattened disks of fibrocartilage or united by interosseous ligaments are known as
1. Gomphosis
2. Enarthroses
3. Diarth roses
4. Amphiarthroses

Correct answer: 4. Amphiarthroses